The following may be the example of privileged communication except -
1. An impotent person marrying
2. A syphilitic taking bath in a public pool
3. Engine driver found to be colour blind
4. Pilot having hypermetropia

Correct answer: 1. An impotent person marrying

Explanation: In cases of option b, c & d, it is the social duty of the doctor to go ahead with privileged communication to communicate professional secrets.